The fourth heart sound is caused by?
1. Closureiof the aortic and pulmonary valves
2. Vibrations inihe ventricular wall during systole
3. Ventricula filling
4. Closure of the mitral and tricuspid valves

Correct answer: 3. Ventricula filling

Explanation: A fourth heart sound is common in persons who derive benefit from atrial contraction for ventricular filling as a result of decreased ventricular wall compliance and increased resistance to ventricular filling. For example, a fourth heart sound is often heard in older patients with left ventricular hypertrophy.Ref: Guyton and Hall textbook of medical physiology 13th edition. Page:284